Winging of scapula which muscle is affected
1. Teres minor
2. Latissimus dorsi
3. Subscapularis
4. Serratus anterior

Correct answer: 4. Serratus anterior

Explanation: Winging of scapulaIn this condition, the vertebral border of scapula becomes more prominent when the patient tries to push against the wallIt occurs in paralysis of the serratus anterior muscle in long thoracic nerve palsy(Refer: Mohindra's Fundamentals of Orthopedics, 2nd edition, pg no. 268)